Best for incineration of infectious waste -
1. Double - chamber
2. Single - chamber
3. Triple - chamber
4. None

Correct answer: 1. Double - chamber

Explanation: Ans. is 'a' i.e., Double-chamber o Three basic kinds of incineration technology are of interest for treatment of healh care wastes :Double-chamber pyrolytic incinerators which may be especially designed to burn infectious health care waste.Single-chamber furnaces with static grate, which should be used only if pyrolytic incinerators are not affordable.Rotary kilns operating at high temperatures, capable of causing decomposition of genotoxic substances and heat-resistant chemicals.